Hydrogen ions are not formed by which complex or which is not a proton pump?
1. Complex I
2. Complex II
3. Complex III
4. Complex IV

Correct answer: 2. Complex II

Explanation: Complex II or Succinate-Q-reductase; the electrons from FADH2 enter the ETC at the level of coenzyme Q. This step does not liberate enough energy to act as a proton pump.(fig.20.13)Ref: DM Vasudevan, 7th edition, page no: 261